Voluntameer ram will receive a new drugin Phase 1 clinical trial. The clearance and volume of distribution of the drug in Ram are 1.386L/hr and 80L respectively. They have life of the drug in him would be approximately
1. 83hr
2. 77hr
3. 40hr
4. 0.02hr

Correct answer: 3. 40hr

Explanation: Ref-Katzung 10/e p38,39 t1/2=0.0693xVd/CL